Mendelson's syndrome is
1. Air leak
2. Tracheal rupture during intubation
3. Oesophageal rupture
4. Aspiration of gastric content

Correct answer: 4. Aspiration of gastric content

Explanation: D i.e. Aspiration of gastric content - Mendelson's syndrome is d/t aspiration of gastric contentQ - It is prevented by Sellick's maneuver i.e. backward pressure on cricoid cartilageQ.